Cellular and flagellar movement is carried out by all of the following, EXCEPT:
1. Actin
2. Tubulin
3. Myosin
4. Intermediate filaments

Correct answer: 4. Intermediate filaments

Explanation: Intermediate filaments provide flexible intracellular scaffold that organizes the cytoplasm and resist the forces applied on a cell. It is not involved in cellular movements. Different types of intermediate filaments are: Keratin : found in the epithelial cellsVimentin : present in connective tissueDesmin : present in muscle cellNeurofilament : found in neuronGlial filaments : seen in astrocytes Ref: Robbins Pathologic Basis of Disease, 6th Edition, Page 27